Which of the following anti-epileptic agents causes the reversible side-effect of gingival hyperplasia?
1. Ethosuximide
2. Phenobarbitone
3. Sodium valproate
4. None of the above

Correct answer: 4. None of the above